All of the given below statements regarding medullary carcinoma of thyroid are true except:
1. It arises from 'C' cells
2. Both hematogenous & lymphatic spread is seen .
3. It is dependent on TSH
4. Most case are sporadic

Correct answer: 3. It is dependent on TSH

Explanation: MEDULLARY CARCINOMA IS NOT DEPENDENT ON TSH